Which of the following drugs is useful in chronic gout but is NOT a uricosuric agent?
1. Probenecid
2. Lesinurad
3. Sulfinpyrazone
4. Allopurinol

Correct answer: 4. Allopurinol

Explanation: Drugs used in gout are: For acute gout NSAIDs like diclofenac, indomethacin Steroids Colchicine For chronic gout Decrease formation of uric acid: Allopurinol Febuxostat Increase excretion of uric acid (uricosuric agents): Sulfinpyrazone Probenecid Benzbromarone Lesinurad Increase metabolism of uric acid: Rasburicase Pegloticase